All of the following are characteristic of a bronchopulmonary segment, except-
1. It is surgically resectable
2. It is named according to the segmental bronchus supplying it
3. It is drained by independent intersegmental branch of pulmonary vein
4. It is the largest subdivision of a lobe

Correct answer: 3. It is drained by independent intersegmental branch of pulmonary vein

Explanation: Each bronchopulmonary segments are drained by intersegmental veins.
Each bronchopulmoray segment is drained by more than one vein and each vein drains more than one segment.